Pudendal nerve block
1. S1-3
2. S2-4
3. S3-5
4. S4,5

Correct answer: 2. S2-4

Explanation: Pudendal Nerve BlockIt is a peripheral nerve block that provides local anesthesia over S2-4 dermatomes (majority of perineum and inferior quarter of vagina)It does not block the superior birth canal so the mother is able to feel the uterine contractions(Refer: Morgan and Mikhail's Clinical Anaesthesiology, 5th edition, pg no.847)